The surgical procedure most commonly associated with postoperative acute kidney injury is:
1. Cardiac surgery with cardiopulmonary bypass
2. Neurosurgery
3. TURP
4. Carcinoma breast surgery

Correct answer: 1. Cardiac surgery with cardiopulmonary bypass

Explanation: The procedures most commonly associated with AKI are 1. Cardiac surgery with cardiopulmonary bypass 2. Vascular procedures with aortic cross clamping 3. Intraperitoneal procedures. Severe AKI requiring dialysis occurs in approximately 1% of cardiac and vascular surgery procedures. Ref: Harrison-E-18, P-2295.